Weil Felix test is useful in diagnosis of the following except-
1. Epidemic typhus
2. Scrub typhus
3. RMSF
4. Trench fever

Correct answer: 4. Trench fever

Explanation: Ans. is 'd' i.e., Trench fever . Weil Felix reaction is not diagnostic for Q fever, Rickettsial pox and Trench fever.